Which of the following is used for day care surgery?
1. Ketamine
2. Thiopentone
3. Propofol
4. Etomidate Drugs used in day care surgery

Correct answer: 3. Propofol

Explanation: Drugs used in day care surgery Dr Desflurane Manmohan Midazolam Singh Sevoflurane Is Isoflurane A Alfentanyl Prime Propofol- mc drug used in day care surgery Minister Mivacurium Ketamine causes dissociative anesthesia Thiopentone is shortest acting due to redistrubution Etomidate causes adrenal supression